highest incidence in men over age 50 A 14-year-old boy develops nephrotic syndrome. A renal biopsy shows foot process fusion and no deposits on the membranes under electron microscopy. Which of the following is the most likely diagnosis?
1. mesangial proliferative glomerulonephritis
2. minimal change disease
3. focal glomerulosclerosis
4. membranous glomerulonephritis

Correct answer: 2. minimal change disease

Explanation: Little or no changes are seen on light microscopy in this syndrome. The disease is most common in children. Spontaneous remission is common in children and is enhanced by steroid therapy. Over 95% of children achieve remission within 8 weeks of institution of prednisone therapy. Therefore, in children with nephrotic syndrome, empiric therapy is frequently employed, rather than initial renal biopsy. Only 50% of adults will remit, and thus biopsy is more frequently required. Relapse is common in both children and adults.